To notify a slide as AFB negative minimum how many fields should be checked? ?
1. 20
2. 100
3. 50
4. 200

Correct answer: 2. 100

Explanation: Ans. is `b' i.e., 100